Diagnosis of polio -
1. Detection of polio virus in stool
2. Serology
3. Limb wasting
4. AFP

Correct answer: 1. Detection of polio virus in stool

Explanation: Ans. is 'a' i.e., Detection of polio virus in stool Lab diagnosis of polioo Virus isolation in tissue culture is the best method for specific diagnosis.o Specimens - Blood, CSF, Throat swab, Feceso Primary monkey kidney cultures are used,o Serodiagnosis is less often employed.